At what POG placental and fetal weights are approximately equal
1. 15 week
2. 17 week
3. 19 week
4. 21 week

Correct answer: 2. 17 week

Explanation: By approximately 17 postmenstrual weeks,placental and fetal weights are approximately equal. By term, placental weight is approximately one sixth of fetal weight.